All are resected in whipples operation except ?
1. Duodenum
2. Head of pancreas
3. Neck of pancreas
4. Common bile duct

Correct answer: 3. Neck of pancreas

Explanation: Whipples operation (Pancreaticoduodenectomy) is the most commonly performed operation for carcinoma of head of pancreas. It includes resection of: - distal stomach - duodenum - gall bladder - proximal jejunum - CBD - regional lymphatics - head of pancreas Restoration of gastrointestinal continuity requires - pancreaticojejunostomy choledochojejunostomy & - gastrojejunostomy